Mature RBC contains all except -
1. Enzyme of HMP shunt pathway
2. Enzyme of TCA cycle
3. Glycoytic enzymes
4. Pyridine nubleotides

Correct answer: 2. Enzyme of TCA cycle

Explanation: Ans:B .) Enzymes of TCA cycle Erythrocytes (RBC) lack mitochondria (so TCA cycle enzymes) and completely rely on glucose as their metabolic fuel. They metabolize it by anaerobic glycolysis.